Forceps should not be used in :
1. Twin delivery
2. Hydrocephalus
3. Postmaturity
4. After coming head of breech

Correct answer: 2. Hydrocephalus

Explanation: One of the criteria before applying forceps - There should be no major cephalopelvic disproportion by clinical pelvimetry Hydrocephalus is a most common cause of CPD. Ref: Dutta Obs 9e pg 533.